Plasma half life of carbimazole is:
1. 4 hours
2. 8 hours
3. 16 hours
4. 24 hours

Correct answer: 2. 8 hours

Explanation: Plasma half life of carbimazole is 6-10 hours. Half life of PTU is 1.5 hrs- very short acting (REF.Essential of medical pharmacology K D TRIPATHI 6 Edition, Page No - 250)